Kumar, a 31 yrs old motorcyclist sustained injury over his Right hip joint. X-ray revealed a posterior dislocation of the Right hip joint. The clinical attitude of the affected lower limb will be:
1. External rotation, extension and abduction
2. Internal rotation, flexion and adduction
3. Internal rotation, extension and abduction
4. External rotation, flexion and abduction

Correct answer: 2. Internal rotation, flexion and adduction

Explanation: In posterior dislocation of hip, the limb is held in flexion, adduction and internal rotation. It's the opposite in anterior dislocation. The treatment is emergency reduction of the dislocated hip. Ref: Essential Orthopedics By J Maheswari, 2nd Edition, Pages 181-183